While doing MMSE, maximum score is given to :
1. Orientation
2. Recall
3. Registration
4. Language

Correct answer: 1. Orientation

Explanation: Out of total score (30) maximum is given to Orientation (i.e. 10).